All of the following are true about Henoch scholein purpura except -
1. IgA deposition
2. Non palpable purpura
3. Abdominal pain
4. Glomerulonephritis

Correct answer: 2. Non palpable purpura

Explanation: Henoch-Schonlein purpura (HSP) is a disease involving inflammation of small blood vessels. It most commonly occurs in children. The inflammation causes blood vessels in the skin, intestines, kidneys, and joints to start leaking. The main symptom is a rash with numerous small bruises, which have a raised appearance, over the legs or buttocks Symptoms of Henoch-Schonlein Purpura The classic symptoms of HSP are rash, joint pain and swelling, abdominal pain, and/or related kidney disease, including blood in urine. Before these symptoms begin, patients may have two to three weeks of fever, headache, and muscular aches and pains. Rarely, other organs, such as the brain, heart, or lungs, may be affected. Ref Harrison20th edition pg 288 Here are some key details about the symptoms of HSP: Rash. The rash usually appears in all patients with HSP. The initial appearance may resemble hives, with small red spots or bumps on the lower legs, buttocks, knees, and elbows. But these change to appear more like bruises. The rash usually affects both sides of the body equally and does not turn pale on pressing. Kidney impairment. HSP can cause kidney problems, indicated by such signs as protein or blood in the urine. This is usually only discovered on urine testing, since it does not generally cause any discomfort. In most patients, the kidney impairment is mild and goes away without any long-term damage. It's important to monitor the kidney problems closely and make sure they clear up, since about 5% of patients may develop progressive kidney disease. About 1% may go on to develop total kidney failure. Ref Davidson 23rd edition pg 409